BCG vaccination is given at birth to prevent future infection by M. tuberculosis. This intervention is a type of ?
1. Primary prevention
2. Secondary prevention
3. Tertiary prevention
4. Primordial prevention

Correct answer: 1. Primary prevention

Explanation: Ans. is 'a' i.e., Primary prevention Immunization is a specific protection type of primary prevention.